All of the following are seen in active chronic hepatitis B except:
1. IgM against core antigen
2. Total core antibody
3. HbeAg
4. HbsAg

Correct answer: 1. IgM against core antigen

Explanation: Answer is A (IgM against core antigen): IgM antibody against core antigen is a diagnostic of an acute infection with hepatitis B virus. IgM antibodies against core antigen are characteristically absent in patients with chronic: hepatitis B. (Absent in both forms of chronic hepatitis, namely, chronic active hepatitis and chronic persistent hepatitis) Chronic Hepatitis Chronic Persistent Hepatitis (Low infectivity; HBeAg-ve chronic Hepatitis) HBsAg +ve HBeAg -ve IgM HBc -ye HBV DNA +ve Chronic Active Hepatitis High infectivity; HBeAg+ve chronic Hepatits HBsAg +ve HBeAg +ve IgM Anti HBc IgG Anti HBc -ve +ve HBV DNA +ve